Limiting amino acid in wheat are:
1. Lysine, arginine
2. Threonine, methionine
3. Lysine, threonine
4. Lysine, methionine

Correct answer: 3. Lysine, threonine

Explanation: Limiting amino acid in various food stuffs Wheat-lysine (the most deficient) and threonine (second limiting amino acid) Rice-lysine Legumes-tryptophan or methionine (or cysteine) Maize-lysine and tryptophan Egg-none; the reference for absorbable protein